The finding of a single umbilical artery on examination of the umbilical cord after delivery is:
1. Insignificant
2. Occurs in 10% of newborns
3. An indicator of considerably increased incidence of major malformation of the fetus
4. Equally common in newborn of diabetic and nondiabetic mothers

Correct answer: 3. An indicator of considerably increased incidence of major malformation of the fetus

Explanation: Ans. is c, i.e. An indicator of considerably increased incidence of major malformation of the fetusRef: Williams Obs 23/e, p 582Single Umblical ArteryIt is seen in 07-0.8% cases of single pregnancy and 5% of twin pregnancyMore common in diabetic patients and black patients.Finding of a single umbilical artery is not insignificant and is associated with:i. Congenital malformations of the fetus in 20-25% cases amongst which cardiovascular and genitourinary anomalies are common.ii. Increased chances of abortion, prematurity, IUGR and perinatal mortality.